Which cell does not NOT differentiate in bone marrow?
1. B lymphocyte
2. T lymphocyte
3. Neutrophil
4. Basophil

Correct answer: 2. T lymphocyte

Explanation: Bone marrow provides the environment for development of precursor cells into erythrocytes, platelets, granulocytes, monocytes, and B lymphocytes. Although it is likely that T lymphocytes progenitor cells also arise in bone marrow, differentiation and programming of new T lymphocytes occurs in the thymus. Ref: Levinson W. (2012). Chapter 58. Cellular Basis of the Immune Response. In W. Levinson (Ed), Review of Medical Microbiology & Immunology, 12e.